Most common cause of death after Total Hip Replacement is:
1. Infection
2. Pneumonia
3. Anemia
4. Thromboembolism

Correct answer: 4. Thromboembolism

Explanation: Thromboembolic disease (pulmonary embolism) is the most common cause of death within three months of total hip replacement. It is the most common serious complication after Total Hip Arthroplasty, accounts for greater than 50% of the postoperative mortality after total Hip Arthroplasty. Ref: Campbell's Operative Orthopaedics, 8th Edition, Page 548; Pediatric Orthopaedic Secrets, 3rd Edition, Page 34; Total Hip Replacement Surgery: Principles and Techniques By S. K. S. Marya, R. K. Bawari, Page 132